Which of the followingg is true about Vitamin K:
1. Vitamin K is needed for action of clotting factor VIII
2. Vitamin K is required for bone health
3. Vitamin K deficiency leads to DVT
4. Vitamin K is a water soluble Vitamin

Correct answer: 2. Vitamin K is required for bone health

Explanation: Vitamin K is required for bone health. Vitamin K is involved in post translational modification of calcium binding proteins and several vitamin K-dependent proteins play an important role in maintaining bone and cartilage health. Three most widely studies vitamin K-dependent proteins implicated in bone health are osteocalcin (Bone Gla protein), Matrix Gla protein (MGP) and Protein S, all of these proteins undergo post-translational carboxylation of glutamic acid (Gla proteins) for which vitamin K is a cofactor. Vitamin K is a fat soluble Vitamin (Not water soluble). Vitamin K is required in the hepatic synthesis of prothrombin an blood clotting factors II, VII, IX and X (Not for clotting factor VIII). Deficiency of Vitamin K leads to delay in coagulation and bleeding disorders (Not DVT) Ref: Harper